Use of adrenaline is in:
1. Vasovagal syncope
2. Hypotension
3. Anaphylactic shock
4. Bradycardia

Correct answer: 3. Anaphylactic shock

Explanation: cRef: KDT, 5th ed, p. 116 & 4th ed, p. 131